Episiotomy is best done :
1. Medially
2. Laterally
3. Mediolaterally
4. J shaped

Correct answer: 3. Mediolaterally

Explanation: Mediolaterally